Fluid of choice in child with bu rn < 24 hour is -
1. Fresh frozen plasma
2. Isolye-P
3. Ringer lactate
4. Plailet tranfusion

Correct answer: 3. Ringer lactate

Explanation: Ans. is 'c' i.e., Ringer lactate Fluid resuscitation in burn injuryo Parkland formula Initial 24 hours: Ringer's lactated (RL) solution 4 mL'kg/% bum for adults and 3 ml/kg/% bum for children. RL solution is added for maintenance for children:4 ml'kg/hour for chiIdren weighing 0-10 kg40 ml/hour+2 ml.'hour for children weighing 10-20 kg60 ml.'hour + 1 ml'kg/hour for children weighing 20 kg or higher This formula recommends no colloid in the initial 24 hours.Next 24 hours: Colloids given as 20-60% of calculated plasma volume. No crystalloids. Glucose in water is added in amounts required to maintain a urinary output of 0.5-1 ml/hour in adults and 1 ml/hour in children.